4 year old child complains of painful  limb, the likely cause
1. Poliomyelitis
2. Infantile coxa vara
3. Perthe's disease
4. CTEV

Correct answer: 3. Perthe's disease